Stimulation for gastric emptyinga) Secretinb) CCKc) Gastrind) Distension
1. ab
2. bc
3. cd
4. ac

Correct answer: 3. cd

Explanation: Distension of stomach by food leads to peristaltic wave to empty the gastric content. Gastrin also increases gastric emptying.